Marker of bone formation are all except ?
1. Osteocalcin
2. Alkaline phosphatase
3. Procollagen residue
4. Hydroxyproline

Correct answer: 4. Hydroxyproline

Explanation: Ans. is 'd' i.e., HydroxyprolineHydroxyproline is a marker of bone resorption ( not bone formation).